Antigen which does not appear in blood in hepatitis B:
1. HbcAg
2. HbeAg
3. HbsAg
4. None of the above

Correct answer: 1. HbcAg

Explanation: Because HBcAg is intracellular and, when in the serum, sequestered within an HBsAg coat, naked core particles do not circulate in serum and, therefore, HBcAg is not detectable routinely in the serum of patients with HBV infection. By contrast, anti-HBc is readily demonstrable in serum, beginning within the first 1-2 weeks after the appearance of HBsAg and preceding detectable levels of anti-HBs by weeks to months.